Dense deposit disease is seen in?
1. Membranous Glomerulopathy
2. Membrano-proliferative glomerulonephritis
3. Mesangio-proliferative glomerulonephritis
4. Nil lesion

Correct answer: 2. Membrano-proliferative glomerulonephritis

Explanation: Nil lesion: Minimal Change disease/ Lipoid Nephrosis/ Selective proteinuria